Most emetogenic anti CA drug:
1. 5 FU
2. Methotrexate
3. Cisplatin
4. All

Correct answer: 3. Cisplatin

Explanation: Ref: Katzung 14th ed. pg. 956; KDT, 6th ed. pg. 828* Cisplatin is a platinum coordination complex that is hydrolyzed intracellularly to produce a highly reactive moiety which causes cross linking of DNA by platinum compound.* It is a highly emetic drug. Antiemetics are routinely administered before infusing cisplatin.* DOC for cisplatin induced vomiting: Ondansetron* Major s/e of cispltin: Ototoxicity and nephrotoxicity.